Objectives of National Mental Health programme are all accept –
1. Promote community participation
2. Promote application of mental health knowledge
3. Provides free antipsychotic drugs to all
4. Provide accessibility of mental health care

Correct answer: 3. Provides free antipsychotic drugs to all

Explanation: National Mental Health Programme (NMHP) 

The Government of India has launched the National Mental Health Programme in 1982, with the following objectives:


To ensure availability and accessibility of minimum mental healthcare for all in the foreseeable future, particularly to the most vulnerable and underprivileged section of the population.
To encourage the application of mental health knowledge in general healthcare and in social development.
To promote community participation in the mental health service development.


The District Mental Health Programme (DMHP) was launched under NMHP in the year 1996, which was based on `Bellary Model' with the following components.


Early detection and treatment.
Training of general physicians and health workers.
IEC : Public awareness generation.
Monitoring (for simple record keeping).


The NMHP was re-strategized in year 2003 with following components:-


Extension of DMHP to 100 districts.
Up gradation of psychiatric wing in medical colleges/General hospitals.
Modernization of state mental hospitals.
IEC
Monitoring and evaluation.